Oncherciasis elimination, operational definition ?
1. O.volvulus transmission has reduced below a particular point
2. Intervention has stoped
3. No recrudescence
4. All of the above

Correct answer: 4. All of the above

Explanation: Ans. is 'd' i.e., All of the above Oncherciasis elimination The reduction of infection and transmission to the extent that interventions can be stopped, but post-intervention surveillance is still necessary. Operational definition includes ? Intervention have reduced O.volvulus infection and transmission below the point where the parasite population is beilved to be irreversibly moving to its demise/extinction in a defined geographical area. Intervention have been stopped. Post-interventional surveillance for an appropriate period has demonstrated no recrudescence of transmission to a level suggesting recovery of O.volvulus population. Additional surveillance is still necessary for timely detection of recurrent infection, if a risk of reintroduction of infection from other area remains.